Regarding a crystal, the true statement is :
1. Molecules are arranged in same orientation with different confirmation
2. Molecules are arranged in different oreintation with different confirmation
3. Molecules are arranged in same orientation and same confirmation
4. Molecules are arranged in different oreintation but with same confirmation

Correct answer: 3. Molecules are arranged in same orientation and same confirmation

Explanation: C i.e. Same conformation & molecules are arranged in same orientation A crystal lattice is a three dimensional, highly ordered and regular arrangement of atoms, molecules or ions. A crystal is formed from small units, (that have the same orientation and same conformation(2), such that when these units are repeated in all possible directions, the structure of the crystal is still maintained.